The physical properties of  the compacted  gold(restoration) are probably more greatly influenced by:
1. Competence of the dentist in manipulating and placing the gold material
2. Hardness of the gold used for filling the prepared cavity
3. Physical properties of various types of gold used for filling the prepared cavity
4. None of the above

Correct answer: 1. Competence of the dentist in manipulating and placing the gold material

Explanation: There is no evidence that the diﬀerences in physical properties among the various forms of gold are clinically signiﬁcant. The physical properties of the compacted gold (restoration) are probably more greatly inﬂuenced by the competence of the dentist in manipulating and placing the gold material.
 
Ref:   Phillip’s Science of Dental Materials ed 12 pg 414